Dysmetria is due to lesion of ______________
1. Midbrain
2. Pons
3. Medulla
4. Cerebellum

Correct answer: 4. Cerebellum

Explanation: Cerebellar signs usually involve balance and coordination, and may include: Unsteady and clumsy motion of the limbs or torso (Ataxia) Inability to stand or sit without support (Astasia) Inability to judge distance or scale (Dysmetria) Inability to coordinate fine motor activities (Intention tremor), e.g. "past-pointing" (pointing beyond the finger in the finger-nose test) Inability to perform rapid alternating movements (Dysdiadochokinesis), e.g. inability to rapidly flip the hands Involuntary left-right eye movements (Nystagmus)